All are seen in Plasmodium falciparum infection except:
1. Hemoglobinuria
2. Cerebral malaria
3. Relapses
4. Malignant malaria

Correct answer: 3. Relapses

Explanation: Relapses are due to hypnozoites in liver. These are seen in case of P.vivax and P.ovale. P. Falciparum is not associated with relapses. P. falciparum infects RBC's of all ages, hence the parasitemia is very high. Hemoglobinuria is commonly seen.